All of the following are true about neuroblastoma except?
1. Diarrhea
2. Bone pain
3. Cafe-au-lait spots
4. Opsomyoclonus

Correct answer: 3. Cafe-au-lait spots

Explanation: Cafe au lait spots are associated with neurofibromatosis.